Borchardt's triad of acute epigastric pain, violent retching and inability to pass a nsogastric tube is seen in patients with
1. Achalasia cardia
2. Acute gastric volvulus
3. Jejunogastric intussusception
4. Hitus hernia

Correct answer: 2. Acute gastric volvulus

Explanation: A volvulus is a twisting or axial rotation of a portion of bowel about its mesentery. When complete it forms a closed loop of obstruction with resultant ischaemia secondary to vascular occlusion. Ref: Bailey & Love's Short Practice of Surgery,E25,Page-1193